The accepted polymer to monomer ratio for packing of polymethyl methacrylate resin is
1. 3:01
2. 4:01
3. 10:01
4. 5:01

Correct answer: 1. 3:01